This organism may cause epidemics of puerperal sepsis.
1. Cytomegalovirus
2. Group A b-hemolytic streptococci
3. Group B b- hemolytic streptococci
4. Toxoplasma gondii

Correct answer: 2. Group A b-hemolytic streptococci

Explanation: Most female pelvic infections are caused by bacteria indigenous to the genital tract. Over the past 20 years, there have been reports of group A b-hemolytic streptococcus causing toxic shock-like syndrome and life-threatening infection Gram-positive cocci--group A streptococci, enterococcus, Staphylococcus aureus, Staphylococcus epidermidis Gram-negative bacteria--Escherichia coli, Klebsiella, Anaerobes Cocci--Peptostreptococcus and Peptococcus species Others--Clostridium, Bacteroides, and Fusobacterium species, Mobiluncus species